The most common posterior mediastinal mass is
1. Neurogenic tumor
2. Lymph nodes
3. Neurogenic parasitic cyst
4. Teratoma

Correct answer: 1. Neurogenic tumor

Explanation: The posterior mediastinum contains the following structures: sympathetic ganglia, nerve roots, lymph nodes, parasympathetic chain, thoracic duct, descending thoracic aorta, small vessels and the vertebrae. Most masses in the posterior mediastinum are neurogenicnature Ref Davidson 23rd edition pg 580